Greatest portion of teeth is formed by:
1. Enamel
2. Dentin
3. Pulp
4. Cementum

Correct answer: 2. Dentin